Which of the following conditions disappear spontaneously in first year of life ?
1. Port wine stain
2. Naevus flammeus
3. Salmon's patch
4. Strawberry haemangioma

Correct answer: 3. Salmon's patch

Explanation: . It is a cqpillary vascular malformation also called as naevus simplex. Commonly seen in 40% of new borns. It is present at birth,usually involves nape of neck,face,scalp,limbs. With age,it goes for spontaneous regression and disappears completely,usually in one year. Refer page no 214 of SRB's manual of surgery,5 th edition.